Unsegmented eggs are seen in which of the following
1. Trichuris trichura
2. Necator americanus
3. Ankylostoma
4. Dracunculus

Correct answer: 1. Trichuris trichura

Explanation: Manner of egg layingOrganismsOviparous Unsegmented eggsAscaris lumbricoides , Trichuris trichiuraSegmented eggsAncylostoma duodenale, Necator americanusEgg containing larvaEnterobius vermicularisViviparous Dracunculus medinensis, Trichinella spiralis , Brugia spp, Wuchereria bancrofti , OvoviviparousStrongyloides stercoralis(Ref: K.D Chatterjee 13th edition, p205-206)